Potassium-sparing diuretics acts at the level of
1. Na k pump
2. Aldosterone receptor
3. Na CL symporter
4. Carbonic anhydrase

Correct answer: 2. Aldosterone receptor

Explanation: Spironolactone acts at the level of mineralocorticoid or aldosterone receptor, triamterene, amiloride acts on epithelial sodium channelsRef:KDtripati 6th ed pg 569